The single most important predictor of survival in multiple myeloma
1. IL-6 levels
2. Bence jones proteinuria
3. CD 138 positivity
4. Serum b2-microglobulin

Correct answer: 4. Serum b2-microglobulin

Explanation: Ans. (d) Serum b2 -microglobulin(Ref: Robbins 9th/pg 598-602/8th 608-612)b2-M concentration is the strongest and most reliable prognostic factor for multiple myeloma. It depends not only on tumor burden but also on renal function. Elevated b2-M values predict early death